Splenectomy is not indicated in which of the following pathologies?
1. Sarcoidosis
2. Trauma
3. ITP
4. Hereditary spherocytosis

Correct answer: 1. Sarcoidosis

Explanation: Ans. is 'a' i.e., Sarcoidosis * General indications for splenectomy include symptomatic splenomegaly, hyperspleenism, hemolytic anemia, thrombocytopenia and other cytopenias.* Spleenectomy is not indicate for sarcoidosis, gauchers disease, myelofibrosis unless they have hyperspleenism.Indication for splenectomy* Trauma# Accidental# Operative* Oncological# Part of en bloc resection# Diagnostic# Therapeutic* Haematological# Spherocytosis# Purpura # Hypersplenism* Portal hypertension# Variceal surgery